Surgical landmarks for the identification of facial nerve in mastoid surgeries are all except:
1. Below the processus cochleariformis
2. Above and posterior to oval window
3. Medial to short process of incus
4. Behind the pyramid

Correct answer: 1. Below the processus cochleariformis

Explanation: (a) Below the processus cochleariformis(Ref. Scott Brown, 6th ed., 1386, 1387)The first genu of facial nerve lies antero-superior to the Processes cochleariformis.